Lithium administration in pregnancy will cause which of the following abnormality in fetus:
1. Ebstein anomaly
2. Transposition of great vessels
3. TVuncus arteriosus
4. Tetralogy of Fallot

Correct answer: 1. Ebstein anomaly

Explanation: Ans: a (Ebsteins anomaly) Ref: AhujaTextbook of psychiatry, 5th ed,p. 196There has been an increased incidence of Ebstein anomaly when lithium is taken in the first trimesterThere is also an increased incidence of TOF and congenital heart blocks with lithium intake.Fetal anomalies with specific drug intake1. Lithium-Ebsteins anomaly2. Warfarin-Contradi syndCraniofacial anomalyChondrodyplasia punctata3. Isotretinoin-Neural tube defectASDMicrocephaly, cleft palate4. Thalidomide-phacomelia5. ACE inhibitors-renal damage6. Carbimazole/ methimazole-fetal aplasia cutis